In after coming head the following bone is perforated during craniotomy
1. Occiput
2. Parietal
3. Palate
4. Frontal

Correct answer: 1. Occiput

Explanation: Craniotomy is perforating the fetal skull and evacuating the contents and then delivering the fetal parts. In after coming head in breech occipital bone is the perforation site